Which of the following is a True yeast
1. Candida
2. Cryptococcus
3. Rhizopus
4. Aspergillus

Correct answer: 2. Cryptococcus